Most common cause of gastric varices is:
1. Splenic vein thrombosis
2. Splenectomy
3. Cirrhosis
4. Mesenteric thrombosis

Correct answer: 3. Cirrhosis

Explanation: Ans. (c) CirrhosisRef: Sabiston 19/e p 1222-1223* MC cause of Isolated Gastric varices- Splenic vein thrombosis* MC cause of gastric varices- Cirrhosis* Gastric Varices are in the SUBMUCOSA (Esophageal varices are seen in MUCOSA)* Endoscopic USG is the IOC to diagnose Gastric Varices because of the reason above.* Endoscopic therapy for Gastric varices- Endoscopic GLUE injection